Boerhaave's syndrome is due to ?
1. Drug induced esophagus perforation
2. Corrosive injury
3. Spontaneous perforation
4. Gastro-esophageal reflux disease

Correct answer: 3. Spontaneous perforation

Explanation: Ans. is 'c' i.e., Spontaneous perforation